In 2 years old child gallows traction is applied. Child is suffering from fracture of:
1. Neck of femur
2. Greater trochanter of femur
3. Fracture shaft of femur
4. Shaft of tibia

Correct answer: 3. Fracture shaft of femur

Explanation: Ans. c. Fracture shaft of femur (Ref: Apley 9/e p861; Maheshwari 3/e p122)Gallow's traction is used for treatment of fracture shaft of femur, in infants and children <2 years of age.Russel's traction or Thomas splint is used for fracture shaft femur in older childrenGallow's TractionGallow's traction is used for treatment of fracture shaft of femur, in infants and children <2 years of ageQ.Weight must not be > 12 kgsBoth the fractured and the normal femur are placed in skin traction and infant is suspended by these from a special frame. The buttocks should be lifted just off the bed so that the weight of the body provides counter traction and the fracture is reduced.